A 32 year old female is diagnosed of having metastatic choriocarcinoma. Which of the following is the MOST common site of metastasis in Choriocarcinoma?
1. Liver
2. Lungs
3. Brain
4. Ovaries

Correct answer: 2. Lungs

Explanation: Common sites of metastasis in Choriocarcinoma: Lungs (80 percent) Vagina (30 percent) Pelvis (20 percent) Liver (10 percent) Brain (10 percent) Patients with pulmonary metastases typically have asymptomatic lesions identified on routine chest radiograph and infrequently present with cough, dyspnea, hemoptysis, pleuritic chest pain, or signs of pulmonary hypertension. In patients with the early development of respiratory failure that requires intubation, the overall outcome is poor. Ref: Hoffman B.L., Schorge J.O., Schaffer J.I., Halvorson L.M., Bradshaw K.D., Cunningham F.G., Calver L.E. (2012). Chapter 37. Gestational Trophoblastic Disease. In B.L. Hoffman, J.O. Schorge, J.I. Schaffer, L.M. Halvorson, K.D. Bradshaw, F.G. Cunningham, L.E. Calver (Eds), Williams Gynecology, 2e.